Creeping fat is a feature of
1. Crohn's disease
2. Ulcerative colitis
3. Celiac disease
4. Tropical sprue

Correct answer: 1. Crohn's disease

Explanation: fat may encircle around antimesentric serosal surface producing a pattern known as creeping fat. mnemonic: FIND CASH Fissures Ileum Non-caseating granuloma Distortion of mucosal architecture Creeping fat, Crypt abscess, Cobblestone appearance. Aphthous ulcer Skip lesions Hose pipe like bowel SYSTEMIC AND GENERAL PATHOLOGY RAMDAS NAYAK PG NO.406